Which of the following is absorbed in the colon ?
1. Iron
2. Proteins
3. Bile salts
4. Electrolytes

Correct answer: 4. Electrolytes

Explanation: D i.e. Electrolytes- Maximum absorption or reabsorption of water from gastrointestinal tract occurs in jejunumQ.- Ca2+, Cl-, Fe2+, SO42-, long chain fatty acids and vitamins (except B12)are mainly absorbed in upper small intestine (i.e., jejunum & duodenum)Q.- Sodium (Na+) is mainly absorbed is upper & lower small intestine (jejunum, ileum) and colonQ. And K+ in upper mid & lower small intestine.- Sugars and amino acids are mainly absorbed in mid small intestine whereas bile salts, and vitamin B12 in lower small intestine (ileum)QSubstance absorbedSite: Small intestineColonUpper (Proximal Jejumummainly duodenum in mostcases except NaC1 & HCO3-)MidLower(distalileum)1. Na+3+2+3+3+2. Cl-3+2+++3. ca-3+2++ 4. Long chain fatty acid (absorption &conversion to triglycerides)3+2++05. Water soluble & fat soluble vitaminsexcept B123+2+006. Iron (Fe++)3+++?7. SO4--2++0?8. Pyrimidines (thymine & uracil)++ 9. K++++Secretion10. Sugars (glucose, galactose etc).2+3+2+011. Aminoacids2+3+2+012. Antibodies (in newborn)+2+3+?13. Bile salts++3+ 14. Vitamin B120+3+015. Betaine, Dimethylglycine, sacrosine 2+2+?